Esthesioneuroblastoma arises from:
1. Olfactory epithelium
2. Ethmoid sinus
3. Maxillary sinus
4. Sphenoid sinus

Correct answer: 1. Olfactory epithelium

Explanation: Ans. (a) Olfactory epitheliumRef: Dhingra's ENT 6th edJ 204* Esthesioneuroblastoma usually arise from the olfactory epthelium . It's a rare tumor of any age group .* Presentation of tumor: cherry red, polypoidal spots mass in upper third of nasal cavity. It is a vascular tumor that bleeds profusely on biopsy.